Ectopic pregnancy can be ruled out on ultrasound by:
1. Finding foetus in uterus
2. Normal adenexa
3. Uterus size proportional to foetal size
4. Clinical examination

Correct answer: 1. Finding foetus in uterus

Explanation: Ans. Finding foetus in uterus